In a patient with pelvic inflammatory disease due to tuberculosis, which of the following statements is true:a) Mycobacterium can be grown from menstrual bloodb) Associated with infertilityc) Ectopic pregnancy is commond) Dysmenorrhea is a common presentation
1. abc
2. bc
3. acd
4. bcd

Correct answer: 1. abc

Explanation: Amongst the given option there is no doubt that TB leads to infertility and ectopic pregnancy rather M/C symptom of TB is infertility (i.e. options b and c are correct).
Mycobacterium can be grown from menstrual blood is again correct (i.e. option a). Now coming to option d, i.e. dysmenorrhea is a common presentation.
• Pain is uncommon and is a result of subacute PID.
• “Dysmenorrhea rarely ever occurs”.